All organisms shows bipolar staining except ?
1. Calymmatobacter granulomati
2. Y. pestis
3. Pseudomonas mallei
4. H. influenzae

Correct answer: 4. H. influenzae

Explanation: Ans. is 'd' i.e., H. influenzae Safety pin appearance (Bipolar staining) yersinia pestis Vibrio parahemolyticus Burkholderia mallei Burkholderia pseduomallei Klebsiella granulomatis